Which of the following is a Tick borne disease?
1. Epidemic typhus
2. Endemic typhus
3. Scrub typhus
4. RMSF

Correct answer: 4. RMSF

Explanation: Vectors of rickettsia disease:- Disease Vector Epidemic typhus Endemic typhus Scrub typhus Louse Flea Trombiculid mite Spotted fever GROUP Indian tick typhus RMSF Rickettsial pox Tick Tick Mite Others Q fever Trench fever Nil Louse